Yoke muscle for right superior rectus is
1. Left superior oblique
2. Left inferior oblique
3. Left inferior rectus
4. Left superior rectus

Correct answer: 2. Left inferior oblique

Explanation: Yoke muscles Yoke muscles (contralateral synergists) are a pair of muscles (one from each eye) which contract simultaneously during version movements. Different pairs of yoke muscles are as follows: 1) Right medial rectus and left lateral rectus 2)Right lateral rectus and left medial rectus 3)Right superior rectus and left inferior oblique 4)Right inferior rectus and left superior oblique 5)Right superior oblique and left inferior rectus 6)Right inferior oblique and left superior rectus. Reference :- A K KHURANA; pg num:- 537